What is not true about polycythemia vera
1. It is a cancerous conditoon
2. Incraese in rbc count
3. Blood viscosity increases
4. Decrease in pcv

Correct answer: 4. Decrease in pcv

Explanation: Polycythemia doest cause decrease in pcv